The 3 major divisions of Planning Commission are all Except:-
1. Executive division
2. General secretariat
3. Technical divisions
4. Programme advisors

Correct answer: 1. Executive division

Explanation: PLANNING COMMISSION OF INDIA:- Set up by Government of India in 1950. Consists of: Chairman Deputy chairman 5 members. 3 major divisions: General secretariat Technical divisions Programme advisors.